All are true about hepatic adenoma except:-
1. Benign proliferative disorder of hepatocyte .
2. Hepatic architecture is maintained .
3. CECT shows Peripheral hypervascularization .
4. Treatment is Excision .

Correct answer: 2. Hepatic architecture is maintained .

Explanation: Hepatic adenoma: Adenomas are benign liver tumors seen almost exclusively in women aged between 25 and 50 years. Associated with OCP use Hepatic architecture is not maintained . Cords of hepatocytes with glycogen & fats- present Mostly symptomatic (abdominal pain) Tumor rupture in 30-50% of the cases *IOC is CECT - Shows Peripheral hypervascularization . *Treatment - Excision .